Function of articular disc is/are:
1. It stabilizes the position of condyle in fossa:
2. It reduces the friction in the joint.
3. It helps in lubrication.
4. All of the above.

Correct answer: 4. All of the above.